Bone affection in scurvy is due to which of the following -
1. Poor mineralization of the osteoid tissue
2. Defective osteoid matrix formation
3. Defective calcification in osteoid
4. Increased degradation of osteoid tissue

Correct answer: 2. Defective osteoid matrix formation

Explanation: Major consequences of vitamin C deficiency are caused by impaired formation of collegen.
These are : -


Bleeding tendency because of poor vascular support
Inadequate formation of osteoid matrix.
Impaired wound healing